The amyloid protein in primary systemic amylodosis belongs to which of the following classes of fibril proteins?
1. AA protein
2. AL protein
3. A beta protein precursor
4. Beta 2 microglobular protien

Correct answer: 2. AL protein

Explanation: primary amylooidosis ,immune dyscrasias with amyloidosis usually syatemic and is of AL type GENERAL AND SYSTEMIC PATHOLOGY RAMDAS NAYAK PG NO.172